Developing Ameloblasts are affected by the ingestion of water with high fluoride content resulting in
1. Turner's tooth
2. Hutchinson's teeth
3. Mottled enamel
4. Moon's molars

Correct answer: 3. Mottled enamel